Amino acids that promote healing includes
1. Alanine
2. Arginine
3. Glutamate
4. Glycine

Correct answer: 2. Arginine

Explanation: (B) Arginine > Adequate dietary protein is absolutely essential for proper wound healing, and tissue levels of the amino acids Arginine and Glutamine may influence wound repair & immune function.> Healing of wounds, whether from accidental injury or surgical intervention, involves the activity of an intricate network of blood cells, tissue types, cytokines, and growth factors.> This results in increased cellular activity, which causes an intensified metabolic demand for nutrients.> Nutritional deficiencies can impede wound healing, and several nutritional factors required for wound repair may improve healing time and wound outcome.> Vitamin A is required for epithelial and bone formation, cellular differentiation, and immune function. Vitamin C is necessary for collagen formation, proper immune function, and as a tissue antioxidant.> Vitamin E is the major lipid-soluble antioxidant in the skin; however, the effect of vitamin E on surgical wounds is inconclusive.> Bromelain reduces edema, bruising, pain, and healing time following trauma and surgical procedures. Glucosamine appears to be the rate-limiting substrate for hyaluronic acid production in the wound